Tabes dorsalis is seen in -
1. Primary syphilis
2. Secondary syphilis
3. Tertiary syphilis
4. Latent syphilis

Correct answer: 3. Tertiary syphilis